FNAC is useful in all except:
1. Follicular carcinoma
2. Papillary carcinoma
3. Anaplastic carcinoma
4. Medullary carcinoma

Correct answer: 1. Follicular carcinoma

Explanation: Ans. A: Follicular carcinoma Thyroid conditions which can be diagnosed by FNAC include : Colloid nodules Thyroiditis Papillary carcinoma Medullary carcinoma Anaplastic carcinoma Lymphoma FNAC cannot distinguish between a benign follicular adenoma and follicular carcinoma, as this distinction is between is dependent not on cytology but on histological criteria, which include capsular and vascular invasion.